Which of the following agents is recommended for medical treatment of variceal bleed?
1. Octreotide
2. Desmopressin
3. Vasopressin
4. Nitroglycerine

Correct answer: 1. Octreotide

Explanation: Somatostatin and /or its analog octreotide are the agents of choice for medical management of variceal bleed. Drugs used in Portal hypertension Drugs decreasing portal blood flow Drugs decreasing intrahepatic resistance Non-selective beta blockers Vasopressin and Terlipressin Somatostatin and Octreotide Nitrates Alpha-blockers Angiotensin receptor blockers